Hunter's syndrome is due to deficiency of:
1. Iduronate sulfatase
2. Hexosaminidase
3. Glucocerebrosidase
4. L-Iduronidase

Correct answer: 1. Iduronate sulfatase

Explanation: a. Iduronate sulfatase(Ref: Nelson's 20/e p 708-712, Ghai 8/e p 659-664)TypeNameEnzyme deficientClinical featuresIIHunter's syndromeIduronate sulfate sulfataseQCoarse face + Corneal Clouding + Dysostosis multiplex + Intellectual disability + Hepatosplenomegaly